Large placenta is seen in all of the following except:
1. IUGR
2. Syphilis
3. CMV
4. Rubella

Correct answer: 1. IUGR

Explanation: Ans. is a, i.e. IUGRRef. Dutta Obs. 7/e, p 497; Williams Obs 23/e, p 627; Fernando Arias 3/e, p 95-96 for causes of NIHFLarge placenta is seen in case of Hydrops fetalis:Hydrops fetalisThere are two varieties of hydropsImmune hydropsNonimmune hydrops fetalis (NIHF)* It is due to Rh isoimmunization* It is due to conditions other than Rh isoimmunization* It accounts for 1/3rd cases of hydrops fetalis* It accounts for 2/3 cases of hydrops fetalisNonimmune hydrops:It can be caused by a number of conditionsInfections causing NIHF:Of all the PRATSCHEC agents (parvovirus, rubella, AIDS, toxoplasma, syphilis, cytomegalovirus, herpes, echovirus, and coxsackievirus), only AIDS has not been reported in association with Non-lmmune Hydrops Fetalis. Parvovirus B-19 is the most common viral infection associated with NIFH.Note: In IUGR: Placenta is small and not big.